In occipitoposterior presentation, in what percentage of patients' normal delivery can occur?
1. 10
2. 20
3. 50
4. 80

Correct answer: 4. 80

Explanation: Ans. d. (80%). (Ref. Dutta obst 4th ed. 367, Ref William's Obst 21st ed.- 305)OCCEPITOPOSTERIOR POSITION AND DEEP TRANSVERSE ARREST# In a vertex presentation, where the occiput is placed posteriorly over the sacroillliac joint or directly over the sacrum, it is called Occipito posterior position.# During delivery when occiput rotates through l/8th of a circle, anterior and saggital sutures come to lie in bispinous diameter, further anterior rotation becomes unlikely and arrest occurs in this position, and tncre occurs no progress of descent of head even after Vi hour following full dilatation of cervix, called as deep transverse arrest.# Etiology:- Lax pelvic floor- Android pelvis,- Weak uterine contraction,# Treatment:- In about 80% patients' normal delivery can occur.0- Ventouse is ideal- Application of forceps can be useful- LSCS, if big baby, inadequate pelvis